The ‘Iris lesions ’ are pathognomonic of
1. SLE
2. Erythema Multiforme
3. Apthous ulcers
4. DLE

Correct answer: 2. Erythema Multiforme

Explanation: Erythema Multiforme
The classic skin lesion consists of a central blister or necrosis with concentric rings of variable color around it called typical “target” or “iris” lesion that is pathognomonic of EM;
variants are called “atypical target” lesions (Figure 4-16). The skin may feel itchy and burnt. Postinflammatory hyperpig - mentation is common in dark-skinned individuals and may be worsened by sun exposure.